Base of the heart is formed by ?
1. Right atrium
2. Right ventricle
3. Left atrium
4. Left ventricle

Correct answer: 3. Left atrium

Explanation: Ans. is `c > a' i.e., Left atrium > Right atrium